Fan shaped patterns of small intradermal veins on medial or lateral aspect of ankle is called
1. Saphena varix
2. Hyphen webs
3. Corona phlebectasia
4. Dermal flare

Correct answer: 3. Corona phlebectasia

Explanation: Corona phlebectasia is malleolar or ankle flare.